Tachycardia is caused by hypoxia due to
1. Reflexly through peripheral chemoreceptors
2. Diffuse vasodilation
3. Through central chemoreceptor
4. Secondarily after by hyperventilation

Correct answer: 4. Secondarily after by hyperventilation

Explanation: Tachycardia and vasodilation occur secondary to hyperventilation in cases of hypoxia. Central chemoreceptors do not have a role in hypoxia. Activation of peripheral chemoreceptors excites medullary vagal centre and causes Bradycardia.